Control of hook worm disease is achieved by
1. Ford foundation
2. CARE
3. Rockefeller foundation
4. Red cross society

Correct answer: 3. Rockefeller foundation

Explanation: The work of Rockefeller foundation in India began with a scheme for the control of hookworm disease.The establishment of the All India Institute of Hygiene and Public Health at Kolkata was in a large measure due to the cooperation of the Rockefeller Foundation.At present, the foundation is directing its support to the improvement of agriculture, family planning and rural training centres as well as to medical education.Park 23e pg: 924